Flexibility of protein depends on:
1. Glycine
2. Tryptophan
3. Phenylalanine
4. Histidine

Correct answer: 1. Glycine

Explanation: Ans. A. GlycineGlycine having the smallest R group fit into small spaces and induces bends in the alpha helix.Glycine is usually present in beta turns.Kinks in protein structure is due to proline.